DNA model described by Watson and crick was?
1. Right handed parallel
2. Left handed anti parallel
3. Right handed anti parallel
4. Left handed parallel

Correct answer: 3. Right handed anti parallel

Explanation: Ans. (c) Right handed anti parallelRef Lippincott's 4/e, chapter 29